Spinnaker sign is a feature of
1. Pleural effusion
2. Pneumothorax
3. Pneumomediastinum
4. Fracture of bronchus

Correct answer: 3. Pneumomediastinum

Explanation: Thymic sail sign is the normal appearance of thymic shadow abutting the Heart shadow seen on Chest X ray of a normal Infant Spinnaker sail sign is the lifting of the Thymic shadow with the lucency of air between Thymus and Heart in cases Of Pneumomediastinum thymus sail sign- normal spinnaker sign